A 2.5 year old boy is brought by the parents because of the concern that he is not developing appropriately. Child often is unable to engage with others using eye contact and does not play with other children. He has continuously bangs his chin against the wall and remains confined to himself most of the time. What is the most likely diagnosis?
1. Social phobia
2. ADHD
3. Conduct disorder
4. Autism

Correct answer: 4. Autism

Explanation: Ans. D. AutismFeatures of autism include poor social communication and repeated, restricted behavior. These patients' ability to interact with others is impaired. They frequently present with repetitive behaviors and poor eye contact.Strong genetic basis. Onset before 3 yrs of age. Chromosome 2, 7, 16, 17 may contribute. Fragile X- mc inherited disorders (X-linked recessive disorder) Others: tuberous sclerosis, congenital rubella, phenylketonuria. Intellectual Disability/MR:30% of children function in intellectually disabled range. Of those about 30% function in mild- moderate range, & 45-50% are severely to profoundly intellectually disabled.